In case of PSGN complication commonly seen are all Except
1. LVF
2. Hypertensive encephalopathy
3. Hyperkalemia
4. Bleeding diathesis

Correct answer: 4. Bleeding diathesis

Explanation: PSGN complications are -Acute renal failureChronic glomerulonephritisChronic renal diseaseCongestive heart failure or pulmonary oedemaEnd-stage renal diseaseHyperkalemiaHigh blood pressure (hypertension)Nephritic syndrome